Bacillary angiomatosis is caused by
1. Bartonella henselae
2. Hansen’s bacillus
3. Koch’s bacillus
4. H. ducreyi

Correct answer: 1. Bartonella henselae

Explanation: Henselae causes bacillary angiomatosis, a condition resembling Kaposi’s sarcoma in patients with AIDS. The skin, lymph nodes or liver and spleen are primarily involved in this condition. The bacteria also cause sub acute bacterial endocarditis.